Most cases of post-infection encephalitis follow
1. Rheumatic fever
2. Chicken pox
3. Mumps
4. Measles

Correct answer: 4. Measles

Explanation: (D) Measles # Most serious complication of measles is meningoencephalitis.> Many survivors have neurological sequelae.> A rare late complication is subacute sclerosing panenecephalitis (SSPE)